Which of the following is a drug used in diabetes?
1. Salmeterol
2. Acetohexamide
3. Benserazide
4. Methoxamine

Correct answer: 2. Acetohexamide

Explanation: Acetohexamide is a first generation sulfonylureas which acts by stimulating insulin release from pancreas. Sulfonylureas block K+ channels in beta cells leading to depolarization, increased calcium entry voltage dependent calcium channels and increased secretion. It also increases insulin sensitivity by increasing the number of insulin receptors. 1st generation sulfonamides: Tolbutamide Acetohexamide Tolazamide Chlorpropamide 2nd generation sulfonamides: Glyburide Glipizide 3rd generation sulfonamides: Glimepiride Ref: Pharmacology By Gary C. Rosenfeld, page 251